Victim was strangled with elbow around neck. It is called as:
1. Garrotting
2. Mugging
3. Bansadola
4. Burking

Correct answer: 2. Mugging

Explanation: Methods of Strangulation Ligature strangulation Constriction of neckby aligature material without suspension Manual strangulation(Throttling) Constriction of neck by handsQ*** Mugging*** Neck is constricted by foot, knee and bend of elbowQ*** BansdolaQ*** Neck is compressed in between two bamboo sticksQ*** Garrotting*** When the victim is unaware, a ligature is put around the neck from behind and twisted fast Victim loses consciousness very fast & the signs of resistance are absent